Most common subtype of thyroid cancer is?
1. Medullary carcinoma
2. Papillary carcinoma
3. Follicular carcinoma
4. Anaplastic carcinoma

Correct answer: 2. Papillary carcinoma

Explanation: ANSWER: (B) Papillary carcinomaREF: Sabiston 18th ed chapter 36, Schwartz 9th ed chapter 38Papillary carcinoma is the most common of the thyroid neoplasms and is usually associated with an excellent prognosis, particularly in female patients younger than 40 years. About 70% to 80% of patients in the United States in whom thyroid carcinoma is newly diagnosed have papillary carcinoma.Thyroid malignancy PapillarycarcinomaFollicularcarcinomaHurthle cell carcinomaMedullarycarcinomaAnaplasticcarcinomaLymphomaPrevalence80%10%3%5%1%<1%Cell typeFollicularFollicularFollicular,oxyphiliccellsParathyroid C cellswide variety of cell typesNon Hodgkin's B cell type